Drug used for d-TC reversal is
1. Atropine
2. Atracurium
3. Diazepam
4. Neostigmine

Correct answer: 4. Neostigmine

Explanation: Reversal of d tubocuraine was done by neostigmine.